Which of the following causes minimum bone marrow suppression ?
1. Bleomyc
2. 5FU
3. Cytarabine
4. Topotecan

Correct answer: 1. Bleomyc

Explanation: Ans. is `a' i.e., Bleomycin Marrow sparing anticancer drugs- Vicristine, bleomycine and L-asparaginase.